For diagnosing middle ear deafness the following test is done -
1. Testing Babinski's reflex
2. Eliciting Bhvosted's reflex
3. Finger- nose test
4. Weber's test

Correct answer: 4. Weber's test